A diabetic patient presents with bloody nasal discharge, orbital swelling and pain. The culture of periorbital pus showed branching septate hyphae. Which of the following is the most probable organism involved
1. Mucor
2. Candida
3. Aspergillus
4. Rhizopus

Correct answer: 3. Aspergillus

Explanation: Candida shows pseudohyphae. Mucor and Rhizopus show nonseptate hyphae. Reference: Textbook of Microbiology; Baveja; 4th edition